All are complements of the basement membrane except
1. Nidogen
2. Laminin
3. Entactin
4. Rhodopsin

Correct answer: 4. Rhodopsin

Explanation: Basement membrane is periodic acid schiff (PAS) positive amorphous structures that lie underneath epithelia of different organs and endothelial cells .it consists of laminin ,proteoglycand ,collagenref Robbins 7/e p103 ,9/e p24